Dilated pupil with coma is seen in w hich poisoning -
1. Opium
2. Datura
3. Mushroom
4. Pilocarpus

Correct answer: 2. Datura

Explanation: Ans. is 'b' i.e.. Datura o Poisoning with Datura causes 8Ds: dryness of mouth, dysphagia, dilated pupils, dry, hot skin, drunken gait, delirium, drowsiness, death due to respiratory failure.o Among the given options only dhatura causes dilatation of pupil. Other three cause pupillary constriction